All of the following statements about Guttate psoriasis are FALSE except:
1. Most common in elderly
2. It is the most common variety of psoriasis and is insidious onset with chronic clinical course
3. Association with alpha-hemolytic streptococci known
4. Seen particularly on trunk

Correct answer: 4. Seen particularly on trunk

Explanation: Guttate psoriasis precipitated by preceding upper respiratory infection caused by group A beta-hemolytic streptococcus. Small lesions, appearing generally over the body, particularly in children and young adults. Lesions are from 2-3 mm to 1 cm in diameter, round or slightly oval. Lesions are scattered more or less evenly over the body, particularly on the trunk and proximal part of the limb The differential diagnosis should include Pityriasis rosea and Secondary syphilis.